A 42-year-old male is diagnosed with liver and pancreatic disease as a result of alcoholism. During physical examination it is noted that he has abnormal enlargement of his mammary glands, as a secondary result of his disease process. Which of the following clinical conditions will most likely describe this case?
1. Polythelia
2. Supernumerary breast
3. Polymastia
4. Gynecomastia

Correct answer: 4. Gynecomastia

Explanation: Gynecomastia is the abnormal growth of mammary glands in males. Polythelia refers to supernumerary nipples. Polymastia refers to supernumerary, or extra, breasts. Amastia refers to the absence of breasts.